Gemfibrozil/produces hypolipidemic action by?
1. Increasing activity of lipoprotein lipase
2. Decreased production of VLDL
3. Increase LDL receptors on hepatocytes
4. Increased conversion of cholesterol to bile acids

Correct answer: 1. Increasing activity of lipoprotein lipase

Explanation: Ans. is 'a' i.e., Increasing activity of lipoprotein lipase